Tumour most sensitive to radiotherapy is-
1. Osteogenic sarcoma
2. Ewing's sarcoma
3. Chondrosarcoma
4. Osteoclastoma

Correct answer: 2. Ewing's sarcoma

Explanation: Ans- B Most Radio + chemo sensitive = Ewing's sarcoma Most Common Radiation induced And also the most radio resistant = Osteosarcoma